DOC for schizophrenic patient with poor oral absorption is?
1. Clozapine
2. Fluphenazine
3. Sulpride
4. Penfluridol

Correct answer: 2. Fluphenazine

Explanation: Ans. B. FluphenazineLong-acting injectable (LAI) antipsychotics (APs) (LAI APs) have proved effective in schizophrenia and other severe psychotic disorders because they assure stable blood levels, leading to a reduction of the risk of relapse.LAIs bypass the initial deactivating process by avoiding first-pass metabolism in the liver.